Ventricular Tachycardia is represented by all, Except:
1. Wide QRS complex
2. AV dissociation
3. Capture Beats
4. Typical RBBB QRS complex

Correct answer: 4. Typical RBBB QRS complex

Explanation: Answer is D (Typical RBBB QRS complex) Wide QRS complex, AV dissociation, capture beats, and fusion beats are characteristic features of ventricular tachycardia. VT is characterized by bizarre QRS complexes that do not confirm to typical RBBB or LBBB QRS complexes Ventricular Tachycardia (VT) VT is defined as three consequtive premature ventricular complexes with a wide QRS complex of duration 0.12 sec (often 0.14 sec) and a heart rate between 100 to 240/minute. The QRS complexes are not preceded by atrial deflections. Characteristic Features of Ventricular Tachycardia (VT) AV dissociations Capture Beatsdeg Fusion Beats Compensatory Pause Wide QRS complex (>0.14 seconds)Q Bizarre QRS pattern that does not mimic typical RBBB or LBBB QRS complex e Left axis deviation Additional features Heart Rate : The heart rate is >100/minute (usually >120/min Rhythm : Usually Regular May be irregular if there are sinus capture beats P:QRS : No fixed relation exists between the P wave & QRS complex - P wave may not be visible at all - P wave may be dissociated from the QRS complex